Non-enveloped ss-RNA virus is-
1. Picornavirus
2. Poxvirus
3. Retrovirus
4. Bunyavirus

Correct answer: 1. Picornavirus

Explanation: Non-enveloped RNA viruses → PCR - Picorna, Calci, Reo.